Which of the following is prophylactic treatment of Rheumatic heart disease?
1. Ampicillin
2. Penicillin G
3. Benzathaine penicillin
4. Phenoxy-methyl penicillin

Correct answer: 3. Benzathaine penicillin

Explanation: Prevention of rheumatic fever/ heart disease: Type Adults Children Remarks Primary prevention Benzathine benzyl Penicillin 1.2 million unit Benzathine benzyl Penicillin 600,000 units Single dose intramuscular Secondary prevention Benzathine benzyl Penicillin 1.2 million unit Benzathine benzyl Penicillin 600,000 units Recommendations for duration of secondary penicillin prophylaxis: Category Duration 1. Rheumatic fever without carditis - At least for 5yrs since last episode/ until 18 yrs of age ; whichever is longer. 2. Rheumatic fever with carditis ; without residual heart / valvular disease - At least for 10yrs since last episode/ until 25 yrs of age ; whichever is longer. 3. Rheumatic fever with carditis & residual heart disease - At least for 10yrs since last episode/ until 40yrs /until lifelong.